A 55-year-old postmenopausal lady with simple endometrial hyperplasia with atypia. What is the management?
1. Hysterectomy
2. Mirena
3. Progestin
4. Estrogens

Correct answer: 1. Hysterectomy

Explanation: Ans. is a i.e. Hysterectomy* Women with atypical hyperplasia should undergo a total hysterectomy because of the risk of underlying malignancy or progression to cancer.* A laparoscopic approach to total hysterectomy is preferable to an abdominal approach as it is associated with a shorter hospital stay, less postoperative pain and quicker recovery.* Postmenopausal women with atypical hyperplasia should be offered bilateral salpingo oophorectomy together with the total hysterectomy.